Comedones are characteristics of -
1. Acne vulgaris
2. Acne rosasea
3. SLE
4. Adenoma sebaeceum

Correct answer: 1. Acne vulgaris

Explanation: A. i.e. Acne Vulgaris